Ulnar nerve injury results in:
1. Ape thumb deformity
2. Wrist drop
3. Clawing of fingers
4. Pointing index

Correct answer: 3. Clawing of fingers

Explanation: Ans: C i.e. Clawing of fingers